The antibiotic which can cause respiratory failure when used in patients with myasthenia gravis is:
1. Telithromycin
2. Clindamycin
3. Linezolid
4. Tetracycline

Correct answer: 1. Telithromycin

Explanation: Telithromycin may lead to respiratory failure. Ref: Harrisons Edition-18, Page : 1146, Table-133-7.